A 16-year-old asthmatic is currently on salbutamol inhaler which she uses twice a week on an average and frequently wakes up coughing. She has a compliant with her treatment regimen and has good inhaler technique. Which of the following would be the most appropriate next step in managing her asthma?
1. Budesonide 200mg BD
2. Theophylline 300mg sustained release
3. Montelukast 10mg
4. Salmeterol 50mg BD

Correct answer: 1. Budesonide 200mg BD

Explanation: Noctural symptoms indicate partial control, so we have to add ICS along with SABA